Which of the following hormones is produced by the anterior lobe of the pituitary
1. Thyrotropin-releasing hormone (TRH)
2. Corticotropin-releasing hormone (CRH)
3. Growth hormone (somatotropin, GH)
4. Growth hormone-releasing hormone (GHRH)

Correct answer: 3. Growth hormone (somatotropin, GH)

Explanation: The six anterior pituitary hormones are: growth hormone (GH), thyroid-stimulating hormone (TSH), adrenocorticotropic hormone (ACTH), follicle-stimulating hormone (FSH), luteinizing hormone (LH), and prolactin (PRL)